Troisier's sign is
1. Metastatic left supraclavicular lymphadenopathy
2. Carpopedal spasm in hypocalcemia
3. Migratory thromboplebitis
4. Any of the above

Correct answer: 1. Metastatic left supraclavicular lymphadenopathy

Explanation: Ans. a. (Metastatic left supraclavicular lymphadenopathy) (Ref: Bailey and Love 26,h/pg.l048, 1046, 777)In Ca stomach, lymphatic spread may be extensive, the tumour even appearing in the supraclavicular nodes (Troisier's sign). Unlike malignancies such as breast cancer, nodal involvement does not imply systemic dissemination.Troisier's sign# Metastasis to supraclavicular group of node (e.g. as in Ca stomach)Trousseau's sign# In advanced cancers (e.g. gastric cancer) non-metastatic effects of malignancy are seen, particularly thrombophlebitis (migratory).Trousseau's sign# In hypoparathyroidism (with hypocalcemia) Carpopedal spasm can be induced by occlusion of the arm with a pressure cuff for 3 minutes.